Unilateral high stepping gait is seen in -
1. L5 radiculopathy
2. Distal radiculopathy
3. Cauda Equino syndrome
4. None of the above

Correct answer: 1. L5 radiculopathy